The treatment of choice in unilateral aphakia is:
1. Spectacles
2. Contect lens
3. Intra ocular lens
4. Laser assisted in situ keratomileusis

Correct answer: 3. Intra ocular lens

Explanation: (Intra-ocular lens) (77-Parson 20th) (31-174-Khurana)APHAKIA: means absence of crystalline lens from eye, aphakia produces a high degree of hypermetropia.TREATMENTS(1) Intraocular lens - implantation is the best available method for correcting aphakia.(2) Spectacles - cheap, easy, and safe method for correcting aphakia(3) Contact lens - Advantages of contact lenses over spectacles include.(i) Less magnification of images(ii) Elimination of abrasions and prismatic effect of thick glasses(iii) Wider and better field of vision(iv) Cosmetically more acceptable(v) Better suited for uniocular aphakia(4) Refractive corneal surgery - is under trial (i) Keratophakia (ii) Epikeratophakia (iii) Hypertropic Lasik.* Laser in situ keratomileusis (LASIK) - in this technique after creating a corneal flap like ALK, midstromal tissue is ablated directly with an excimer laser beam, ultimately flattening the cornea correctly this procedure is being considered the refractive surgery of choice for myopia upto - 30 D (77-Khurana)Advantages of 1QL* Minimal after care of patients* Minimal anisekoria* Rapid return of binocularity* Normal peripheral vision